The technique of laparoscopic cholecystectomy was first described by
1. Eric Muhe
2. Philip Moure
3. Kurt semm
4. Eddie Reddick

Correct answer: 1. Eric Muhe

Explanation: History of Laparoscopic Cholecystectomy Dr. Kurt Semm, the father of 'Pelviscopy', performed the first laparoscopic appendectomy in 1980 Eric Muhe performed the first laparoscopic cholecystectomy in 1982. He used a modified operating laparoscope placed at the umbilicus after establishing pneumoperitoneun In 1987, Phillip Mouret performed the first video laparoscopic cholecystectomy by using a camera attached to the laparoscope Ref: Blumgart 5th edition Pgno :512